Medullary thyroid carcinoma occurs due to the mutation of: (Repeat)
1. RET oncogene
2. P53 gene
3. RAS H-RAS, K-RAS, N-RAS
4. BRCA-I

Correct answer: 1. RET oncogene

Explanation: Ans: A (RET oncogene) Ref: Robbins Pathologic Basis of Disease, 8th editionExplanation: (See table 10) Table 10 : Selected Oncogenes. Their Mode of Activationand Associated Human TumorsCategoryProto-oncoqeneAssociated Human TumorGROWTH FACTORSPDGF-b chainSIS (official name PBGFB.AstrocytomaOsteosarcomaFibroblast growthHST1Stomach cancerfactorsINT2 (official name FGF3)Bladder cancer Breast cancer MelanomaTGF-aTGFAAstrocytomas Hepatocellular carcinomasHGFHGFThyroid cancerGROWTH FACTOR RECEPTORSEGF-receptor familyERBB1 (EGFR). ERRB2Squamous cell carcinoma of lung, gliomasFMS-like tyrosine kmase 3FLT3Breast and ovarian cancersReceptor for neurotrophic factorsRETLeukemia Multiple endocrine neep asia 2A and B, fam lial medullary' thyroid carcinomasPDGF receptorPDGFRBGliomas. leukemiasReceptor for stem cell (steel) factorKITGastrointestinal stromal tumors, seminomas, leukemiasPROTEINS INVOLVED IN SIGNAL TRANSDUCTIONGTP-bmdsngKRASColon, lung, and pancreatic tumors HRASBladder and kidney tumors NRASMelanomas, hematoloqic malignanciesNonrec eptor tyrosineABLChrome myeloid leukemiakinase Acute lymphoblastic leu Kern iaRAS signal transductionBRAFMelanomasWNT signal transductionb-cateninHepatoblastomas, hepatocellular carcinomaNUCLEAR-REGULATORY PROTEINSTranscriptionalC-MYCBurkitt lymphomaactivatorsN-MYCNeuroblastoma, small-cell carcinoma of lung L-MYCSmall-cell carcinoma of lungCELL CYCLE REGULATORSCyclinsCyclin DMantle cell lymphoma Breast and esophageal cancers Cyclin EBreast cancerCyclin-dependent kinaseCDK4Glioblastoma, melanoma, sarcoma